The etiology of anterior ethmoidal neuralgia is -
1. Inferior turbinate pressing on the nasal septum
2. Middle turbinate pressing on the nasal septum
3. Superior turbinate pressing on the nasal septum
4. Causing obstruction of sphenoid opening

Correct answer: 2. Middle turbinate pressing on the nasal septum

Explanation: It is said to originate from the middle turbinate pressing on the nasal septum.